To study the incidence of malaria, according to various age and sex groups, in a village, we need to undertake
1. Descriptive
2. Case-control study
3. Cohort study
4. Experimental study

Correct answer: 1. Descriptive

Explanation: Descriptive studies are concerned with observing the distribution of disease or health-related characteristics - When is the disease occurring, where is it occurring, who is getting the disease.Park 23e pg: 63